Sterilization of fibre optic is done by?
1. Glutaraldehyde
2. Chlorine
3. Autoclave
4. Phenol

Correct answer: 1. Glutaraldehyde

Explanation: Ans. (a) GlutaraldehydeRef: Alcamo's Fundamentals of Microbiology: Body Systems by Jeffrey. C. Pommerville / 214